Which one of the following is False -
1. Theobald - smith phenomenon is a type 1 hypersensitivity reaction
2. Serum sickness is a type II hypersensitivity reaction
3. Allograft rejection is a type IV hypersensitivity reaction
4. Transfusion reaction is a type II hypersensitivity reaction

Correct answer: 2. Serum sickness is a type II hypersensitivity reaction

Explanation: Type III hypersensitivity occurs when there is an excess of antigen, leading to small immune complexes being formed that fix complement and are not cleared from the circulation. Platelet aggregation, especially in microvasculature, can cause localized clot formation, leading to blotchy hemorrhages. This typifies the response to injection of foreign antigen sufficient to lead to the condition of serum sickness. Ref: Ananthanarayan & Panikers textbook of microbiology 9th edition pg.no. : 166